Uveitis is associated most commonly with :
1. Rheumatoid arthritis
2. Systemic JRA
3. Pauciarticular JRA
4. Poly articular JRA

Correct answer: 3. Pauciarticular JRA

Explanation: Ans. is 'c' ie Pauciarticular JRA Uveitis can be seen in both pauciarticular and polyarticular JRA but is much more commonly associated with pauciarticular JRA.It is seen in about 20-25% of cases of pauciarticular and only 5% of polyarticular JRA.